Commonest cutaneous eruption in SLE is:
1. Palmar erythema
2. Discoid lesions
3. Erythema of light exposed area
4. Diffuse morbiliform erythema

Correct answer: 3. Erythema of light exposed area

Explanation: Erythema of light exposed area